Bone within a Bone appearance is seen in:
1. Osteo-necrosis
2. Osteoporosis
3. Osteopetrosis
4. Osteomyelitis

Correct answer: 3. Osteopetrosis

Explanation: Ans. (c) OsteopetrosisRef: Harrison 19th ed. /426e-4* Bone within a bone describes the bones that appear to have another bone within them.Causes: P.O.S.T-C.G.D# Paget's disease of bone# Osteopetrosis# Sickle cell disease# Thalassemia# Caffey's disease# Gaucher's disease# Growth recovery lines (after infancy)# Hypervitaminosis D